Urgent reversal of warfarin therapy can be done by administration of
1. Cryoprecipitate
2. Platelets
3. Fresh frozen plasma
4. Packed red blood cells

Correct answer: 3. Fresh frozen plasma

Explanation: Fresh frozen plasma Oral anticoagulants should be stopped 7 days prior to elective surgery. But during emergency rapid reversal can be done with vitamin K a day before surgery or with fresh frozen plasma on the day of surgery.